Cardiac marker diagnostic on 10th day of MI-
1. CPKMB
2. LDH
3. Troponin
4. Myoglobin

Correct answer: 3. Troponin